Reversal of shunt is not possible in natural history of?
1. ASD
2. VSD
3. TOF
4. PDA

Correct answer: 3. TOF

Explanation: c. TOF(Ref: Nelson's 20/e p 2211-2217, Ghai 8/e p 420-423)Reversal of shunt or Eisenmenger syndrome is seen in- VSD, ASD, AV canal defect, PDA.